b2 agonist with a long duration of action is
1. Salbutamol
2. Terbutaline
3. Salmeterol
4. Albuterol

Correct answer: 3. Salmeterol

Explanation: A new generation of long-acting b2- selective agonists includes salmeterol (a partial agonist) and formoterol (a full agonist). Both drugs are potent selective b2 agonists that achieve their long duration of action (12 hours or more) as a result of high lipid solubility. These drugs appear to interact with inhaled corticosteroids to improve asthma control. Because they have no anti-inflammatory action, they are not recommended as monotherapy for asthma. An ultra-long-acting b agonist, indacaterol, is currently approved in Europe. It needs to be taken only once a day but is used only for the treatment of chronic obstructive pulmonary disease (COPD). Data on its efficacy and safety in the management of asthma are lacking. Reference: Katzung Pharmacology; 13th edition; Chapter 20; Drugs Used in Asthma